Revised Ghent Criteria are used for the diagnosis of ?
1. Marfans syndrome
2. Ehler Danlos syndrome
3. Osteogenesis imperfecta
4. Duschene muscular dystrophy

Correct answer: 1. Marfans syndrome

Explanation: Ans. is 'a' i.e. Marfans syndromeThe clinical diagnosis of Marfan syndrome is currently based on "revised Ghent criteria" :?These take into account family history, cardinal clinical signs in the absence of family history, and presence or absence of fibrillin mutation.In general, major involvement of two of the four organ systems (skeletal, cardiovascular, ocular, and skin) and minor involvement of another organ is required for diagnosis.